IQ in severe intellectual disability -
1. 50 - 70
2. 35 - 49
3. 20 - 34
4. < 20

Correct answer: 3. 20 - 34

Explanation: Ans. is 'c' i.e., 20-34 CategoryIQMild50-70Moderate35-49Severe20-34Profound<20